A 5-year-old residential school child walks in to your clinic with the habit of thumb sucking in association with bruxism
Usually sucking digit will be having
1. Fibrous roughened callus
2. Laceration of digit
3. Cut wound on digit
4. Long finger balls

Correct answer: 1. Fibrous roughened callus